Which of the following treatment option is best for deep infiltrating endometriosis
1. Radical excision
2. Laser ablation
3. Electrosurgical ablation
4. Laparoscopic adhesiolysis

Correct answer: 1. Radical excision

Explanation: For deeply infiltrative endometriosis, radical surgical excision is best treatment option